Duret's hemorrhages are seen in which of the following organ?
1. Left Lungs
2. Liver
3. Spleen
4. Brainstem

Correct answer: 4. Brainstem

Explanation: Duret hemorrhages are seen in subjects who have suffered brain herniation for several hours before death usually at least 12 - 24 hours, and are attributed to the stretching of and tearing of midline veins as the brainstem is progressively elongated under the force of the herniating cerebrum. Duret hemorrhage is the most frequent complication of uncal herniation. It occur in the midline of the midbrain and upper pons.